Purkinje cells are inhibitory for
1. Deep cerebellar nuclei
2. Climbing fibers
3. Basket cell
4. Mossy fibers

Correct answer: 1. Deep cerebellar nuclei

Explanation: Deep cerebellar nuclei are initially excited by sensory afferents but a fraction of a second later they are inhibited by Purkinje cell output Ref: Ganong 25th ed/page 250